Which is the earliest radiologic feature of bone infection
1. Destructive lytic lesion
2. Presence of periosteal reaction
3. Soft tissue edema
4. Appearance of sequestra

Correct answer: 3. Soft tissue edema

Explanation: Sequence of changes in bone infection (osteomyelitis) on X-ray are : Earliest finding of osteomyelitis on X ray within 8 days is soft tisse swelling and loss of soft tissue planes Bone destruction and formation of periosteal reaction seen at 10-14 days Invoucrum formation at 3 weeks Sequestrum formation at 4 weeks